Community health centre covers a population of
1. 20000
2. 40000
3. 60000
4. 80000

Correct answer: 4. 80000

Explanation: Community health centres were established by upgrading the primary health centres.Cover the population of 80000-1.2 lakh (one in each community development block) with 30beds and specialists in surgery, medicine, obstetrics and gynaecology and paediatrics.Park 23e pg: 907